True about SA node is all except
1. Supplied by nodal artery
2. Primary pacemaker
3. Supplied by left vagus nerve
4. Made up of nodal cells and connective tissue

Correct answer: 3. Supplied by left vagus nerve

Explanation: Sinoatrial Node (SA node) It is known as the pacemaker of the heart.It generates an impulse at the rate of about 70/min and initiates the heartbeat.It is horseshoe-shaped and is situated at the atriocaval junction in the upper part of the sulcus terminalis.The impulse travels through the atrialwall to reach the AV node. Except for a part of the left branch of the AV bundle supplied by the left coronary artery the whole of the conducting system is usually supplied by the right coronary artery. REF.B D Chaurasia's human anatomy vol.1,fifth edition